Space of Disse contains all except -
1. Microvilli
2. Blood plasma
3. Kupffer's cell
4. None of the above

Correct answer: 3. Kupffer's cell

Explanation: Ans. is 'c' i.e., Kupffer's cell o The space of Disse (Perisinusoidal space) is a space between hepatocytes and hepatic sinusoids,o The exchange of substance between hepatocytes and blood takes place in the space of Disse.o Microvilli of hepatocytes extend into this space, increasing surface area for absorption,o Major constituent of space of Disse is blood plasma.Hepatic sinusoid, space of Disse and bile canaiicuii